Hypertension is associated with all of the following except:
1. Excess salt
2. Excess exercise
3. Phaeochromocytoma
4. Obesity

Correct answer: 2. Excess exercise

Explanation: Ans. B: Excess exercise Modifiable risk factors: - Obesity - Excess salt intake Saturated fat in the diet - Environmental stress - Reduced physical activity Renovascular hypertension: It has two main causes: fibromuscular dysplasia and atheromatous stenosis. Hypertension secondary to other renal disorders: - Chronic renal failure - Kidney disease/renal artery stenosis: the normal physiological response to low blood pressure in the renal arteries is to increase cardiac output (CO) to maintain the pressure needed for glomerular filtration. - Renal segmental hypoplasia Hypertension secondary to endocrine disorders - Pheochromocytoma - caused by an excessive secretion of norepinephrine and epinephrine which promotes vasoconstriction - Hyperaldosteronism (Conn's syndrome) - Cushing's syndrome - an excessive secretion of glucocorticoids causes the hypertension Hyperparathyroidism - Acromegaly - Hyperthyroidism -- Hypothyroidism Other causes: - Hormonal contraceptives - Atherosclerosis Liquorice (when consumed in excessive amounts) - Scieroderma - Neurofibromatosis - Drugs: In particular, alcohol, nasal decongestants with adrenergic effects, NSAIDs, MAOIs, adrenoceptor stimulants, and combined methods of hormonal contraception (those containing ethinyl-estradiol) can cause hypertension while in use. - Malformed aorta, slow pulse, ischemia: these cause reduced blood flow to the renal arteries, with physiological responses as already outlined. - Coarcation of the aorta